Hunan hand occurs due to:
1. Abrus prectorius
2. Capsicum
3. Dhatura
4. Strychnine

Correct answer: 2. Capsicum

Explanation: Ans. Capsicum